Trigone of Urinary Bladder develops from ?
1. Mesoderm
2. Ectoderm
3. Endoderm of urachus
4. Endoderm of urogenital sinus

Correct answer: 1. Mesoderm

Explanation: Trigone is derived from mesoderm although bladder is endodermal in origin. Intermediate mesoderm forms the Genito urinary system. Endoderm forms the urogenital sinus which forms urinary bladder and urethra.